All are true regarding course of ureter in pelvis except
1. Ureter passes over bifurcation of common iliac artery
2. It is crossed by ovarian vessels where it enters true pelvis
3. Obturator vessels and nerve lie medially in relation to ureter at pelvic brim
4. Ureter pierces lateral ligament where ureteric canal is developed.

Correct answer: 3. Obturator vessels and nerve lie medially in relation to ureter at pelvic brim

Explanation: Obturator vessels and nerve lie laterally in relation to ureter at pelvic brim.